In PCOD symptoms and signs not seen :
1. weight loss
2. Alopecia
3. Theca cell hyperplasia
4. Hyperandrogenism

Correct answer: 1. weight loss

Explanation: Symptoms and signs in PCOS Oligomenorrhea Amenorrhea Infertility AUB Hirsutism Acanthosis nigrans Acne Ref: D.C.DUTTA'S TEXTBOOK OF GYNAECOLOGY; 6th edition; Pg no:459